A patient has syphilis since 2 year. CSF examination was done & treatment started. Which of the following test is most useful in monitoring treatment
1. TPI
2. VDRL
3. FTA
4. Dark ground microscopy

Correct answer: 2. VDRL

Explanation: B i.e. VDRL